Liposomes are used for all except?
1. Amphotericin-B
2. Doxorubicin
3. Propranolol
4. Vincristine

Correct answer: 3. Propranolol

Explanation: Ans. is 'c' i.e., Propranolol